NK cell CD marker is -
1. 16
2. 60
3. 32
4. 25

Correct answer: 1. 16

Explanation: Ans. is 'a' i.e., 16 o Two cell surface molecules, CD 16 and CD56, are widely used to identify* NK cells.